Iron is actively absorbed in:
1. Stomach
2. Duodenum and proximal jejunum
3. Large intestine
4. Ileum

Correct answer: 2. Duodenum and proximal jejunum

Explanation: B i.e. Duodenum and proximal jejunumAlmost all iron absorption occurs in duodenum and upper jejunum (proximal small intestine)Q.Most of the iron in diet is in ferric form (Fe3+) but it is ferrous (Fe+2) that is absorbedQ. Transport of Fe 2+ into enterocyte occurs DMT1.